True about Light microscopic changes in Minimal Change Glomerulonephritis is:
1. No abnormality
2. Fusion of foot process
3. Absence of Immunoglobulins
4. Absence of complement

Correct answer: 1. No abnormality

Explanation: Answer is A (No abnormality) Light microscopy shows no abnormality in Minimal change Disease Investigation Light microscopy Q Electron microscopy Q Immunofluorescence Q Observation No abnormality hence the term minimal change Fusion offoot processes / Effacement offoot process Absence of immunoglobulin or complement